All the following are acceptable home available fluids for acute diarrhea except:
1. Salted drinks
2. Salted yoghurts
3. Vegetable/chicken soup
4. Commercial fruit juices

Correct answer: 4. Commercial fruit juices

Explanation: Ans. D. Commercial fruit juicesIn the absence of WHO/ORS one may administer culturally acceptable appropriate homemade fluids. These include oral rehydration solution; salted drinks (salted rice water or salted chicken soup and alternatives). Other acceptable fluids are plain water in which a cereal has been cooked, unsalted soup, yoghurt drinks without salt, green coconut water. Commercial carbonated beverages, commercial fruit juices, sweetened tea are not recommended.